True about CLL is -a) Can present as acute leukaemiab) Diagnosed in routine blood testc) Leukocytosisd) More T lymphocytes seen
1. bc
2. c
3. ac
4. ad

Correct answer: 1. bc